Which thalamic nuclei connect with neocortex
1. Palvinar
2. Intralaminar
3. Anterior
4. All

Correct answer: 4. All

Explanation: All thalamic nuclei except the reticular nuclei projects into neocortex.It instead projects to the other thalamic nuclei, regulating the flow of information through these to the cortex.(Ref: Vishram Singh textbook of clinical neuroanatomy second edition pg 227)